Nuclear family consist of -
1. Husband, wife and son
2. Husband, wife and dependent children
3. Husband and wife only
4. Fathermother husband and wife

Correct answer: 2. Husband, wife and dependent children

Explanation: - nuclear or elementary family consist of married couples and their children while they are still regarded as dependents. - husband plays the dominant role in nuclear family. Reference : Park's textbook of preventive and social medicine, 23rd edition, pg no:683,684